Essential granulation tissue constituents include all except
1. Fibroblast
2. Macrophages
3. Polymorphs
4. Budding blood vessels

Correct answer: 3. Polymorphs